Horizontal ligature mark in the neck is seen in -
1. Throttling
2. Hanging
3. Strangulation by ligature
4. Chocking

Correct answer: 3. Strangulation by ligature

Explanation: In strangulation the mark is most often horizontal or transverse, more or less continous around the neck & situated lower down in the neck across or below the thyroid cartilage. There is often crossover points where the two ends of the ligature overlap. This may be on the front, side, or back of the neck, depending upon the relative positions of the assasin and the victim. Ref: The text book of forensic medicine & Toxicology sixth edition pg: 122